Hemochromatosis presents with all EXCEPT
1. Micronodular cirrhosis
2. Diabetes mellitus
3. Skin pigmentation
4. Hepatitis

Correct answer: 4. Hepatitis